Substances with same atomic number but different mass number are
1. Isotopes
2. Isobars
3. Isomers
4. Any of the above

Correct answer: 1. Isotopes

Explanation: Ans. a (Isotope) (Ref. Radioactive isotope in Medicine Biology by Quimby, 2nd ed., 26)TermDefinitionisotopesAtoms having same:- atomic number (same number of protons),- position in periodic table, and- chemical and metabolic properties, but diffeient;- number of neutrons,- mass number (protons plus neutrons),- density and other physical properties. E.g., 17CI-35, 17CI-37.IsobarsAtoms having same mass numbers, different atomic number (hence different neutron number) e.g., 28Ni-64, 30Zn-64IsotonesAtoms having same neutron number, different atomic mass number, e.g., 18A-40IsomersAtoms having same atomic and mass numbers but different energy states in nucleus